Bilobed graft is used in:-
1. Nose
2. Eyelid
3. Cheek
4. Fingertips

Correct answer: 1. Nose

Explanation: Local flaps A local flap is raised next to a tissue defect in order to reconstruct it. Bilobed flap- For convex surfaces, especially the nose.